Measures involved in sentinel surveillance include all except
1. Identifying cases free of disability
2. Identifying new cases of infection
3. Identifying old cases and new cases of infection
4. Identifying missing cases in notification of disease

Correct answer: 1. Identifying cases free of disability

Explanation: Surveillance: Is the ongoing systematic collection and analysis of data and the provision of information which leads to action being taken to prevent and control a disease, usually one of an infectious nature
Surveillance is of many types:
Passive Surveillance: Data is itself reported to the health system; For e.g., A patient with fever coming on his own to the PHC, CHC, Dispensary, Private Practitioner, Hospital
Active Surveillance: Health system seeks out ‘actively’ the collection of data, i.e., goes out to community to collect data; For e.g., Stool sample collection from home in Polio Program.
Sentinel Surveillance: Monitoring of rate of occurrence of specific conditions to assess the stability or change in health levels of a population, It is also the study of disease rates in a specific cohort, geographic area, population subgroup, etc. to estimate trends in larger population; For e.g., Use of health practitioners to monitor trends of a health event in a population


Sentinel Surveillance helps in ‘identifying missing cases’ and ‘supplementing notified cases’